Most dangerous type of diptheria -
1. Facial
2. Laryngeal
3. Nasal
4. Cutaneous

Correct answer: 2. Laryngeal

Explanation: Ans. is 'b' i.e., Laryngealo Clinically diphtheria is divided into :-1) Facial (tonsillo-pharyngeal) diphtheria# It is the commonest type with incubation period of 2-5 days. There is thick adherent pseudomembrane (grey or white) on one or both tonsils or adjacent pharynx. Dislodging of membrane is likely to cause bleeding. A small perecentage of patient present with massive swelling of tonsils and uvula with cervical lymphadenopathy (bull neck) and severe toxemia, called malignant diphtheria.2) Laryngeal diphtheria# It is the most severe form of diphtheria.3) Nasal diphtheria# It is the mildest form.4) Cutaneous diphtheria# It is caused by nontoxigenic strain and patient presents with "punched out" ulcer.5) Other forms# These are conjunctival, otitic, genital (vulval, vaginal or prepucial), and gastrointestinal.